Fetal blood is returned to the umbilical arteries and the placenta through the
1. Hypogastric arteries
2. Ductus venosus
3. Portal vein
4. Inferior vena cava

Correct answer: 1. Hypogastric arteries

Explanation: (Reece, 2/e, pp 54, 119-121.) Fetal blood is returned directly to the placenta through the two hypogastric arteries. The distal portions of the hypogastric arteries atrophy and obliterate within 3 to 4 days after birth; remnants are called umbilical ligaments. Fetal oxygenation is aided by the presence of three vascular shunts: the ductus venosus, foramen ovale, and ductus arteriosus. The ductus venosus shunts oxygenated blood from the umbilical vein into the inferior vena cava. The foramen ovale deflects the more oxygenated blood from the right atrium into the left atrium, thereby bypassing pulmonary circulation. Approximately two- thirds of the blood ejected from the right ventricle is shunted pulmonary circulation through the ductus arteriosus.